Hepcidin associated with which molecule?
1. Iron
2. Copper
3. Selenium
4. Flurine

Correct answer: 1. Iron

Explanation: Ans. is 'a' i.e., Iron Hepcidin is a positive acute phase reactant. Hence during inflammation, liver releases more hepcidin. This inhibits basolateral side transport of iron along intestine. This results in a hematological picture which mimics iron deficiency anemia. This is the basis of Anemia of Chronic Disease